Drug contraindicated in HOCM is?
1. Verapamil
2. Propranolol
3. Digoxin
4. None of the above

Correct answer: 3. Digoxin

Explanation: ANSWER: (C) DigoxinREF: Harrisons Principles of Internal Medicine 17th edition chapter 231Repeat in December 2010"Digoxin is contraindicated in hypertrophic cardiomyopathy and in patients with AV conduction blocks"